Instrument of choice for diagnosing pediatric retinal disorders
1. OCT
2. Fluorescein angiography
3. Slit lamp examination
4. Retcam

Correct answer: 4. Retcam

Explanation: Retcam has been used to diagnose pediatric retinal disorders. It has a probe which is put over eye which captures the fundus photo. It can also do fluorescein angiography and is used for tele consultation too High Yield Facts *Factors responsible for ROP : Low GA is more important than LBW *WHO Vision 2020 program targets ROP as "avoidable disease" *Nd:Yag LASER is used in ROP Photocoagulation *30 Day Screening Strategy: ROP screening in NICU *Anti VEGF & Algae extracts: Experimentally evaluated for Rx *Lensectomy is done for cataract a/w ROP *Stage 5 ROP: Rx is Vitrectomy under poor prognosis *Retcam: Retinal wide field camera for diagnosis, training and angiography in Pediatric retinal anomalies